Dimercaprol is/are used in poisoning with -a) Pbb) Hgc) Asd) Acetaminophene) Iron
1. abc
2. bc
3. acd
4. bcd

Correct answer: 1. abc

Explanation: BAL (dimercaprol) can be used in lead (as adjuvant), mercury and arsenic poisoning. It is contraindicated in iron poisoning.